In Rabies, the characteristic pathological manifestation is -
1. Ventriculitis
2. Encephalitis
3. Basal ganglia affection
4. Meningitis

Correct answer: 2. Encephalitis

Explanation: Acute encaphalitis is the second stage of rabies vaccine REF:ANANTHANARYANAN TEXT BOOK OF MICROBIOLOGY 9EDITION PGNO.533